Ovarian reserve tests are :
1. LH
2. FSH
3. Plasma progesterone
4. Endometrial biopsy

Correct answer: 2. FSH

Explanation: FSH Extra Edge : Recently Mullerian Inhibiting Substance - MIS (also known as Antimullerian Hormone - AMH) has been investigated as a marker for ovarian reserve and for ovarian responsiveness to stimulation. It is produced by the Granulosa cells of preantral, and small antral follicles and inhibits the initiation of primordial follicle growth. The serum levels of MIS in women with normal cycles declines with age and becomes undetectable by the time of menopause. As the ovarian primordial follicle count decreases, the serum MIS concentration also decreases, making this hormone an ideal candidate for the early detection of ovarian reserve depletion.